No treatment of withdrawal is req uired in -
1. LSD
2. Opium
3. Alcohol
4. Amphetamine

Correct answer: 1. LSD

Explanation: Ans. is 'a' i.e., LSD o Clinically significant withdrawal syndrome (requires treatment)Alcohol, opioids, amphetamines, Barbiturates, BZDs, Nicotine.o No or minimal clinically significant withdrawal syndrome (requires no treatment) :-LSD (nil). Cannabis (minimal).